'Stomach bowel test' is also known as
1. Hydrostatic test
2. Breslau's first life test
3. Breslau's second lfe test
4. Raygat's test

Correct answer: 3. Breslau's second lfe test

Explanation: Live-born infant swallows air into the stomach during respiration, and if present in small intestine it further confirms live birth. But air may be present in the stomach after decomposition, or in the stillborn attempting to free the air passages of fluid obstruction. Demonstration: The stomach and intestines are removed after tying double ligatures at each end. They are kept under water and incision is given between the ligatures. Air bubbles will come out if respiration has taken place--Breslau's second life test or stomach bowel test. If milk is present in the stomach, it is a positive evidence of live birth. Ref - Krishan Vij textbook of forensic medicine and toxicology 5e pg - 148,150